Which of the following is the most common endocrine tumour of pancreas
1. Insulinoma
2. Gastrinoma
3. VIPoma
4. Glucagonoma

Correct answer: 1. Insulinoma

Explanation: Insulinomas Beta cell tumors (insulinomas) are the most common type of PanNET( pancreatic NeuroEndocrineTumors) and may be responsible for the elaboration of sufficient insulin to induce clinically significant hypoglycemia. The characteristic clinical picture is dominated by attacks of hypoglycemia, which occur when plasma blood glucose levels fall below 50 mg/dL. The attacks consist principally of such central nervous system manifestations as confusion, stupor, and loss of consciousness. They are precipitated by fasting or exercise and are promptly relieved by feeding or parenteral administration of glucose. Most insulinomas are cured by surgical resection. TEXT BOOK OF ROBBINS BASIC PATHOLOGY NINTH EDITION PAGE.751 IMAGE REF: ROBBINS BASIC PATHOLOGY NINTH EDITION FIG:19-34 PAGE 751